Atherosclerosis is inversely proport- ionnal to:
1. LDL level
2. VLDL level
3. Chylomicron level
4. HDL level

Correct answer: 4. HDL level

Explanation: Ans: dRef: Harrison, 16thed, p. 1427